Following is/are physiological effects of thyroid hormones on the heart:
1. Increased number of beta adrenergic receptors
2. Blunted response to circulating catecholamines
3. Increased proportion of beta myosin heavy chain
4. All of the above

Correct answer: 1. Increased number of beta adrenergic receptors